Popcorn calcification is seen in :
1. Fibroadenoma
2. Fibroadenosis
3. Carcinoma breast
4. None

Correct answer: 1. Fibroadenoma

Explanation: Calcifications are common in fibroadenoma of breast, especially in postmenopausal women.
Most of the calcification are coarse and the so calledpopcorn calcifications are pathognomonic for fibroadenoma.